Fothergill's operation involves:
1. Conization of cervix
2. Amputation of cervix
3. Radical hysterectomy
4. Vaginal hystetrctomy

Correct answer: 2. Amputation of cervix

Explanation: Ans. is 'b' i.e., Amputation of cervix * Fothergill's repair (Manchester operation): Main step is amputation of cervix.* Initially, the operation was thought to preserve the fertility status of the patient.* But as it is associated with a lot of complications, it is not a preferred option nowadays.* Various complications include:a) Primary hemorrhage/secondary hemorrhageb) Repeated second trimester abortions due to cervical incompetencec) Preterm labor/PROMd) Cervical stenosise) Cervical dystociaf) Infertility due to cervical factor